Which of the following statements is true about SIADH:
1. Hypovolemic Hyponatremia
2. Euvolemic Hyponatremia
3. Hypervolemic Hyponatremia
4. Hypervolemic Hypernatremia

Correct answer: 2. Euvolemic Hyponatremia

Explanation: Answer is B (Euvolemic Hyponatremia): SIADH is characterized by Euvolemic Hyponatremia.